Anatomical dead space is increased by all /except
1. Atropine
2. Halothane
3. Massive pleural effusion
4. Inspiration

Correct answer: 3. Massive pleural effusion

Explanation: C i.e. Massive Pleural effusion - Pleural effusion normally tends to decrease physiological dead space initially. However when massive it also decreases anatomical dead space. Atropine, halothane are bronchodialators, so T anatomical dead space. Inspiration may also streatch airways to anatomical dead space.